Into how many segments, the infant's gum pad is divided?
1. Two in each quadrant
2. Three in each quadrant
3. Two in each jaw
4. Five in each quadrant

Correct answer: 4. Five in each quadrant

Explanation: The Gum Pads 
The alveolar arches of an infant at the time of birth are called Gum Pads. These are greatly thickened oral mucous membrane of the gums, which soon become segmented, and each segment is a developing tooth site. They are pink in color and firm in consistency.
The pads get divided into a labio/buccal and a lingual portion which differentiates later. Transverse grooves separate the gum pads into 10 segments. The groove between the canine and the first molar region is called the lateral sulcus, which helps to judge the inter-arch relationship.